A 5-yr-old boy presents with pubic hair development. He is tall and has increased pigmentation of his genitalia and phallic enlargement. Blood pressure is 130/90 mm Hg. Measurement of which of the following hormones would be most likely to be diagnostic?
1. Increase 17a-Hydroxyprogesterone
2. Increase Cortisol
3. Increase aldosterone
4. Increase 11 deoxycortisol

Correct answer: 4. Increase 11 deoxycortisol

Explanation: Presence of Precocious puberty in a male child and hypertension (BP of 130/80 in a 5 year old child is considered hypertension) suggests a diagnosis of congenital adrenal hyperplasia due to 17a- Hydroxylase deficiency. In this condition there is decreased synthesis of both cortisol and sex steroids with a resultant increase in secretion of mineralocorticoid (Deoxycortisol).